Which of the following protein precipitates on heating to 45deg C and redissolves on boiling?
1. Bence Jones Protein
2. Gamma globulin
3. Albumin
4. Myosin

Correct answer: 1. Bence Jones Protein

Explanation: Bence- Jones proteins are light chains excreted in the urine. Bence-Jones proteins precipitate on heating to 45deg C and redissolve on boiling but are now detected by electrophoretic techniques. Ref: Text book of Microbiology by Ananthanarayan 7th Edition, Page 90; Harrison's Principle of Internal Medicine 16 th Edition, Page 251; Oxford Handbook of Clinical And Laboratory Investigation By Drew Provan, 2005, Page 603.